All of the following structures pierce the buccinator muscle, EXCEPT:
1. Parotid duct
2. Buccal glands of the cheek
3. Modiolus
4. Buccal nerve

Correct answer: 3. Modiolus

Explanation: Most buccinator fibers insert anteriorly into the buccal mucosa and around the buccal muscle node (Modiolus). Opposite the upper second molar the buccinator muscle is pierced by the parotid duct. Numerous buccal glands of varying size are interspersed among the muscle fibers, and a few appear on the outer surface of the muscle. The buccal nerve pierces the buccinator muscle but does not innervate it. Ref: Clinical Anatomy of the Masticatory Apparatus and the Parapharyngeal Spaces By Johannes Lang, 1995, Page 96.